Delayed dentition is seen in:
1. Down syndrome
2. Congenital hypothyroidism
3. Rickets
4. All of the above

Correct answer: 4. All of the above

Explanation: Causes of delayed dentition: Familial Rickets* Idiopathic; Incontinentiapigmenti* Endocrine causes* : Hypothyroidism, hypoparathyroidism, hypopituitarism Down syndrome* Cleidocranial dysplasia Progeria Advanced dentition- Seen in: o Precocious puberty* o Hyperthyroidism*